All of the following are true about Ramsay hunt syndrome except
1. Geniculate ganglion of facial nerve is involved
2. Vesicles on tympanic membrane, EAC &  TONGUE
3. Due to herpes zoster
4. Paralysis of facial muscles on contralateral side of face

Correct answer: 4. Paralysis of facial muscles on contralateral side of face

Explanation: It cause the paralysis of facial muscle on the side of the face as the infection.